Wilms' tumor is associated with the following except
1. Aniridia
2. Horse-shoe kidney
3. Hemihypertrophy
4. Opsoclonus

Correct answer: 4. Opsoclonus

Explanation: Wilms tumor is associated with aniridia,genitourinary abnormalities like horse shoe or fused kidney,mental retardation,Denys Drash syndrome(renal failure,renal mesangial sclerosis,male hermaphrodism) & Beckwith- Wiedeman syndrome(hemihypertrophy,macroglossia,omphalocoele,organomegaly). Opsoclonus-myoclonus syndrome is associated with Neuroblastoma.It is characterised by rapid eye movements,ataxia, and irregular muscle movements and occurs in 2-4% of patients. Reference:Essential pediatrics-Ghai,8th edition,page no:617.